A hypertensive patient is suffering from bilateral renal artery stenosis. Which of the following drug should not be given?
1. Enalapril
2. Atenolol
3. Nifedipine
4. Hydrochlorothiazide

Correct answer: 1. Enalapril

Explanation: Ans. A. EnalaprilBilateral renal artery stenosis is contraindication for the use of ACE inhibitors. Angiotensin II by constricting the efferent arteriole can maintain the GFR in insufficient state. But by giving Ace inhibitors, they can precipitate renal failure.